Attacks of flushing and cyanosis occur in which type of ovarian tumors :
1. Struma ovarii
2. Krukenberg's tumor
3. Arrhenoblastoma
4. Carcinoid tumors of ovary

Correct answer: 4. Carcinoid tumors of ovary

Explanation: Ans. is d i.e. Carcinoid Tumor Carcinoid tumour of Ovary : It is sometimes primary and sometimes metastatic. Also called Argentaffinoma Occurs as a malignant change in benign dermoid cyst. Presence of solid yellow tumour with histological property of reducing silver salts derived from specialized Kultchitsky cells of intestine. It produced 5 - HT which causes attacks of flushing and cyanosisdeg